Secretory basket cells are located
1. Inside secretory acini
2. Surrounding the intercalated duct
3. Between secretory cells and the basal lamina
4. Surrounding the striated duct

Correct answer: 3. Between secretory cells and the basal lamina

Explanation: Secretory basket cells are found in salivary gland acini and are also called myoepithelial cells. The name implies that they are epithelial cells with muscle-like contractile properties. They are found between secretory cells and the basal lamina and exert pressure on the secretory cells to release their secretions.